Thick PBS is made for:
1. Speciation
2. Prevalance of parasite
3. Both speciation and prevalence
4. None

Correct answer: 2. Prevalance of parasite

Explanation: Ans. is 'b' i.e., Prevalence of parasite (Ref: D.R. Arora, 3rd/e)* Thin PBF - For Speciation.* Thick PBF - For Prevalence and Presence of Malarial parasites.